Scrub typhus presents with -
1. Lymphadenopathy, rash & eschar
2. Lymphadenopathy 8c rash but no eschar
3. Rash 8c eschar but no lymphadenopathy
4. Lymphadenopathy but no rash 8c eschar

Correct answer: 1. Lymphadenopathy, rash & eschar

Explanation: Ans. is 'a' i.e., Lymphadenopathy, rash & eschar Note -* Lymphadenopathy - Scrub typhus and Rickettsial pox* Eschar - Scrub typhus, Rickettsial pox and Indian tick typhus.* No rash in Q fever